Signs of raised ICP in a 7 months old male baby can be all of the following except:
1. Papilledema
2. Bulging fontanelle
3. Increase in head size
4. Increasing irritability

Correct answer: 1. Papilledema

Explanation: Ans. A. PapilledemaElevated ICP is a potentially devastating complication of neurologic injury. In children, increased ICP is most often a complication of traumatic brain injury; it may also occur in children who have hydrocephalus, brain tumors, intracranial infections, hepatic encephalopathy, or impaired central nervous system venous outflow. Symptoms of raised intracranial pressure in children can sometimes be nonspecific including increasing irritability, head banging, lethargy, increasing head size, sunset sign or sutural separation. Occasionally scalp veins may also become prominent. Papilledema is relatively uncommon in infants due to the lack of fusion of skull bones.